The following are predisposing factors for esophageal Ca Except -
1. Plummer-Vinson syndrome
2. Tylosis palmaris
3. Chronic Achalasia
4. Benzene therapy

Correct answer: 4. Benzene therapy

Explanation: Predisposing factors for Ca Esophagus 

For Adenocarcinoma

Chronic gastric reflux (i,e Barrett's esophagus)

For Squamous cell Ca
Alcohol
Cigarette
Mucosal damage from physical agents → Hot tea, Lye ingestion, Radiation-induced strictures, Chronic achalasia
Other ingested carcinogens → Nitrates, Smoked opiates, Fungal toxins in pickled vegetables
Plummer -Vinson - Paterson Kelly syndrome ( Esophageal Web + glossitis + Iron deficiency )
Tylosis palmaris et plantaris ( Congenital hyperkeratosis and pitting of palms and soles)
Dietary deficiencies of molybdenum, Zinc, Vitamin A.
Celiac sprue
Chronic Achalasia

Following information has been added in 8th/e of Robbins 

Human papillomavirus (HPV) infection has also been implicated in esophageal squamous cell carcinoma in high-risk areas but not in low-risk regions.